Voriconazole is not effective against:
1. Candida albicans
2. Mucormycosis
3. Candida tropicalis
4. Aspergillosis

Correct answer: 2. Mucormycosis

Explanation: Antifungal Drugs: CLASS IFICATION 1. Antibiotics A. Polyenes:AmphotericinB (AMB),Nystatin, Hamycin, Natamycin (Pimaricin) B. Heterocyclic benzofuran: Griseofulvin 2. Antimetabolite Flucytosine (5-FC) 3 Azofes A. lmidazoles (topical): Clotrimazole, Econazole, Miconazole, Oxiconazole (systemic): Ketoconazole B. Triazoles (systemic): Fluconazole, Itraconazole, Voriconazole 4. Allylamine: Terbinafine 5. Other topical agents Tolnaftate, Undecylenic acid, Benzoic acid, Quiniodochlor, Ciclopirox olamine, Butenafine,sod thiosulfate. Voriconazole: It is a second generation broadspectrum triazole introduced lately for difficult to treat fungal infections like invasive aspergillosis, disseminated infections caused by fluconazole resistant Candida, Fusarium infections, and febrile neutropenia not responding to antibacterial therapy. Serious cases are first treated i.v. followed by oral voriconazole. It is metabolized by several CYP isoenzymes (CYP2C19, CYP3A4, etc) and inhibits them as well. The drug interaction profile is similar to itraconazole. Rashes, visual disturbances, QTc prolongation and an acute reaction on i. v. injection are the significant adverse effects ESSENTIALS OF MEDICAL PHARMACOLOGY K.D.TRIPATHI SIXTH EDITION PAGE NO:757,765